Lower lip carcinoma< 1 cm treatment -
1. Radiation
2. Chemotherapy
3. Excision
4. Radiation and chemotherapy

Correct answer: 3. Excision

Explanation: Ans. is 'c' i.e., Excision * Lip Carcinomas are usually squamous cell carcinomas that are well differentiated and hence amenasble to excision in the early stages.* However The reconstruction of the lip, to correct the more important defects, requires the utmost care in order to preserve as much as possible, its natural form and functions. For these reasons, when reconstructing the lip, all three layers: skin, muscle and mucosa, must be taken into consideration* Lymph node metastasis of the neck is a problem that is encountered in less than 20% of patients with lip cancer and must be managed with appropriate neck dissection